Which of the following hallucinogen is considered as angel dust?
1. LSD
2. Phencyclidine
3. Heroin
4. Mescaline

Correct answer: 2. Phencyclidine

Explanation: PCP works primarily as an NMDA receptor antagonist Smart name for phencyclidine is angel dust which is a hallucinogen Ref: Essentials of postgraduate psychiatry By JN Vyas 1st ed Pg 330-336